Carcinoma in situ of skin is called as:
1. Cowden syndrome.
2. Bowen disease.
3. Both
4. None

Correct answer: 2. Bowen disease.